Calcium dependant cell adhesion molecule is
1. Cadherin
2. ICAM-1
3. L-selectin
4. Integrin

Correct answer: 1. Cadherin

Explanation: Answer- A. CadherinThe cadherins are calcium-ilependent adhesion molecules. The three most common cadherins are neural (N)-cadherin, placental (P) cadherin, and epithelial (E)-cadherin. All three belong to the classical cadherin subfamily. There are also desmosomal cadherins and proto-cadherins. Cadherins are intimately involved in embryonic development and tissue organization. They exhibit homophilic adhesion. The extracellular domain consists of several cadherin repeats, each is capable of binding a calcium ion. When calcium is bound, the extracellular domain has a rigid, rod-like structure.Following the transmembrane domain, the intracellular domain is highly conserved. The intracellular domain is capable of binding the alpha, beta, gamma catenins.